Which of the following drugs is an antagonist to diazepam?
1. Phenergan
2. Flumazenil
3. Domperidone
4. Bromocriptine

Correct answer: 2. Flumazenil